A patient aged 24 years is said to have 'severe hypothermia' requiring intensive care management, if his core body temperature is
1. <35degC
2. <32degC
3. <28degC
4. <25degC

Correct answer: 3. <28degC

Explanation: Ans- C <28degC Ref- Note- criteria for pediatric and adult age groups vary.